Infectivity of chicken pox last for -
1. Till the last scab falls of
2. 6 days after onset of rash
3. 3 days after onset of rash
4. Till the fever subsides

Correct answer: 2. 6 days after onset of rash

Explanation: The incubation period of chickenpox is about 2 weeks. The patient is considered to be infectious during 2 days before and five days after the onset of lesions. REF:ANATHANARAYAN AND PANIKER'S TEXTBOOK OF MICROBIOLOGY 8TH EDITION PAGE NO:471